After splenectomy, most common infection -
1. Pneumococcal
2. E. coli
3. Klebsiella
4. Streptococcus

Correct answer: 1. Pneumococcal

Explanation: Ans. is 'a' i.e., Pneumococcal o The most serious consequence of splenectomy is increased susceptibility to bacteria! infections, particularly those with capsules such asSir. pneumon iae (Most common)H. influenzaeGram negative enteric organismso Splenectomized patients are also more susceptible to parasitic disease babesiosis.o There is no increased risk of viral infection after splenectomy.